Acute rheumatic fever occurs most commonly in
1. 5-14 yrs
2. 15-20 yrs
3. 21-25 yrs
4. 26-30 yrs

Correct answer: 1. 5-14 yrs